Aspirin sensitive asthma is associated with
1. Extrinsic asthma
2. Usually associated with urticaria
3. Associated with nasal polyp
4. Obesity

Correct answer: 3. Associated with nasal polyp

Explanation: Ans. is 'c' i.e., Associated with nasal polyp